Absolute contraindication of IUCD is?
1. Acute PID
2. PCOD
3. Breast cancer
4. Previous history of abortion

Correct answer: 1. Acute PID

Explanation: Contraindications for IUCDS Puerperal sepsis Pregnancy Cancer of the cervix PID / STD Cancer of the uterus Significantly distorted uterine cavity Undiagnosed vaginal bleeding